Use of FAST?
1. To detect fluid in pericardial and peritoneal sacs
2. Pyoperitoneum
3. Intestinal obstruction
4. Pancreatitis

Correct answer: 1. To detect fluid in pericardial and peritoneal sacs

Explanation: Ans. is 'a' i.e., To detect fluid in pericardial and peritoneal sacs o FASTFocused Assessment of Sonographic examination of Trauma patient is a rapid diagnostic examination to assess patients with potential thoraco abdominal injuries.It sequentially survavs for pressence of blood in pericardial sac and dependent abdominal regions.It is exquistely sensitive for detecting fluid of > 250 ml. After application of vs transmission gel, a 3.5 MHZ convex transducer is used to assess, in sequence-pericardial area, RUQ, LUQ and Pelvis.It is very accurate in assessing Hypotensive patients with blunt trauma abdomen; if FAST positive, immediate surgery is justified.